Incubation period of Diptheria is
1. 2 -6 days
2. 2 - 6 hours
3. 2 - 6 weeks
4. 2 - 6 months

Correct answer: 1. 2 -6 days

Explanation: The incubation period in diphtheria is commonly 3-4 days. In some cases short as a day. In carriers, the incubation period may be very prolonged. Reference: Textbook of Microbiology; Anathanarayan and panicker's; 10th edition; Page no: 240